Liver transplantation was first done by ?
1. Starzl
2. Huggins
3. Carrel
4. Christian Benard

Correct answer: 1. Starzl

Explanation: Ans. is 'a' i.e., Starzl The first human liver transplant was performed in 1963 by Dr. Thomas Starzl.